Which of the following cranial nerves do not carry parasympathetic outflow
1. Occulomotor
2. Trochlear
3. Facial
4. Glossopharyngeal

Correct answer: 2. Trochlear

Explanation: Parasympathetic cranial nerves are 3-occulomotor 7-facial 9-glossopharyngeal 10-vagus Refer kDT 7/e p78